Successful trial of labour can be expected in:
1. Android pelvis
2. Naegele's pelvis
3. Flat pelvis
4. Generally contracted pelvis

Correct answer: 3. Flat pelvis

Explanation: Ans. C: Flat Pelvis In CPD, success of trial of labour depends on: Degree of pelvic contraction. Shape of pelvis-flat pelvis is better. Favourable vertex presentation Intact membranes till full dilatation of cervix Effective uterine contractions